Which of the following is not associated with malignancy -
1. Fragile X syndrome
2. Fanconi's syndrome
3. Down's syndrome
4. Bloom syndrome

Correct answer: 1. Fragile X syndrome

Explanation: Down syndrome is associated with incrased risk of leukemia. _____ Harrison